Topical mitomycin-C is used in: (REPEAT)
1. Sturge-Weber syndrome
2. Laryngotracheal stenosis
3. Endoscopic angiofibroma
4. Skull base osteomyelitis

Correct answer: 2. Laryngotracheal stenosis

Explanation: Mitomycin-C is an antineoplastic antibiotic that acts as an alkylating agent by inhibiting DNA and protein synthesis. It can inhibit cell division, protein synthesis, and fibroblast proliferation. Topical application of mitomycin-C (0.4 mg/mL) was used as an adjuvant treatment in the endoscopic laser management of laryngeal and tracheal stenosis. REFERENCE: www.ncbi.nlm.nih.gov